Patellar tendon bearing cast is indicated in the following fracture:
1. Patella
2. Tibia
3. Medial malleolus
4. Femur

Correct answer: 2. Tibia

Explanation: PTB (patellar tendon bearing) plaster, is a carefully moulded patellar bearing below knee plaster which is used in fractures of shaft of tibia In fracture patella cylindrical cast is used